The maximum ozone concentration in polluted atmosphere is dependent on the concentration and ratio of nitrogen oxides and which one of the following –
1. Carbon monoxide
2. Lead
3. Volate organic compounds
4. Sulphur dioxide

Correct answer: 3. Volate organic compounds

Explanation: Ground level ozone is formed from Nitrogen Oxides (NO) and volatile organic compounds (VOC), e.g., Methane